Layers in non keratinized epithelium are:
1. Stratum basale, stratum spinosum, stratum granulosum, stratum corneum.
2. Stratum basale, stratum intermedium, stratum superficiale.
3. Stratum basale, stratum intermedium, stratum granulosum, stratum superficiale.
4. None.

Correct answer: 2. Stratum basale, stratum intermedium, stratum superficiale.